What is not useful for diagnosis of myasthenia gravis?
1. AChR antibodies
2. Voltage gated calcium channel antibodies
3. Muscle-specific kinase antibodies
4. Edrophonium test

Correct answer: 2. Voltage gated calcium channel antibodies

Explanation: Voltage-gated calcium channel antibodies are used for diagnosis of Lambert Eaton syndrome. Choices A, C,and D are used for diagnosis of M. Gravis.